In Addison's disease drug to be given is:
1. Hydrocortisone
2. Betamethasone
3. Prednisolone
4. DOCA

Correct answer: 1. Hydrocortisone

Explanation: Ans. (A) Hydrocortisone(Ref: KDT 8/e p314; CMDT 2014/1116)In chronic adrenal insufficiency or Addison's disease, hydrocortisone given orally is the drug of choice.Hydrocortisone is a glucocorticoid with maximum mineralocorticoid action.